Pain originate in the pulp due to
1. free nerve ending in cell rich zone
2. free nerve ending at sub odontoblastic layer
3. Krause bulb at the center of the pulp
4. Meisseners corpuscles at cell rich zone

Correct answer: 2. free nerve ending at sub odontoblastic layer